Which of the following is the remnant of meroneptric tubuler in males
1. Ductur deferens
2. Seminal vesicles
3. Appendix of epidydmis
4. Paradydimis

Correct answer: 4. Paradydimis

Explanation: Meroneptric tubuler in male - paradydimis.